Caisson's disease is caused due to exposure to:
1. Heat
2. Cold
3. Pressure
4. Noise

Correct answer: 3. Pressure

Explanation: Exposure to pressure causes Caisson's disease, air embolism. Ref: Park 21st edition page: 746.